BCRABL gene mutation is seen in?
(A)CML
(B)AML
(C)CLL
(D)ALL
1. B
2. C
3. A
4. D

Correct answer: 3. A

Explanation: Chronic Myeloid leukemia o Chronic myeloid leukemia is a stem cell disease that is characterized by leucocytosis with granulocyc immaturies, basophilia,
splenomegaly and disnct chromosomal abnormality - Philadelphia (Ph') chromosome. It is one of the chronic myeloproliferave disorders.
Pathogenesis of chronic mveloid leukemia o CML is an acquired disease of haemopoiec stem cell and Ph’ chromosome is demonstrable in erythroid,
myeloid and megakaryocyc precursors. Philadelphia chromosome BCR-ABL fusion gene Philadelphia chromosome is formed as a result of reciprocal translocaon
between long arm of chromosome 22 and chromosome 9 i.e. + (9:22) ABL proto-oncogene from chromosome 9 is translocated to chromosome 22 where BCR
is present and results in formaon of BCR-ABL fusion chimeric gene BCR ABL gene is hallmark of CML.